Lyre sign is seen in-
1. Meningioma
2. Acoustic neuroma
3. Sagittal sinus thrombosis
4. Carotid body tumor

Correct answer: 4. Carotid body tumor

Explanation: Ans. is 'd' i.e., Carotid body tumor * Lyre sign refers to splaying of the internal and external carotid artery at the bifurcation of the common carotid artery caused by carotid body tumor. Classically described on angiography it is also visible on CT angiography.